True about OCG is :
1. First done by Graham Cole in 1942
2. Dye ingested at rate of 1 ml/kg
3. USG has replaced it
4. All

Correct answer: 3. USG has replaced it

Explanation: C i.e. USG has replaced it